Mental health programme was started in –
1. 1982
2. 1987
3. 1990
4. 1995

Correct answer: 1. 1982

Explanation: The Government of India has launched the National Mental Health Programme (NMHP) in 1982. Also know


Mental health act was started in 1987.